A child after consuming food in a party complains of diarrhoea within 1-5 hours. The diagnosis is
1. Staphylococcus aureus
2. Streptococcus
3. Clostridium perfringens
4. Clostridium botulinum

Correct answer: 1. Staphylococcus aureus

Explanation: Enterotoxin is responsible for the manifestation of staphylococcal food poisoning- causing nausea, vomiting and diarrhea 2-6 hours after consuming food contaminated by a preformed toxin. The toxin is relatively heated stable, resisting 100deg C for 10-40 minutes depending upon the concentration of toxin and the nature of the medium. The optimum temperature for toxin production is 37degC. Meat and fish or Milk or milk products cooked and left at room temperature after contamination with staphylococci, for enough time for the toxin to accumulate are the common items responsible. Enterotoxin: 8 antigenic types are known named A, B, C 1-3, D, E and H. The toxin is believed to act directly on the autosomal nervous system to cause illness, rather than on GI mucosa. Ref: Textbook of Microbiology; Ananthanarayan and Paniker's; 10th Edition; Page No: 204